Which route of drug administration avoids first pass hepatic metabolism and is used with drug preparation that slowly releases drugs for periods as long as seven days ?
1. Topical
2. Transdermal
3. Sublingual
4. Oral

Correct answer: 2. Transdermal